Earliest presentation of Friedrich's ataxia is?
1. Ataxia
2. Seizures
3. Optic atrophy
4. Stuttering

Correct answer: 1. Ataxia

Explanation: Answer is A (Ataxia): In most patients ataxia of gait and stance is the first manifestation of the disease.- Clinical Neurology by Goetz 2"d/742 Friedreich's ataxia presents with progressive staggering gait, frequent falling and titubation- Harrison Note: The first pathological changes in Friendreich's Ataxia are thought to occur is dorsal root ganglia with loss of large sensory neurons.